Presence of soot in air passages indicate
1. Antemortem burns
2. Postmortem burns
3. Antemortem hanging
4. Postmortem hanging

Correct answer: 1. Antemortem burns

Explanation: presence of smoke in air passages presence of greyish black or black amorphous material embedded or adherent to the mucosa of larynx, trachea and bronchi indicates that the victim inhaled smoke and hence was breathing during the fire. Ref: TEXTBOOK OF FORENSIC MEDICINE AND TOXICOLOGY KRISHNAN VIJ FIFTH EDITION PAGE 166